Phobia is a type of
1. Psychosis
2. Neurosis
3. Mania
4. Depression

Correct answer: 2. Neurosis

Explanation: In ICD-10, neurosis, stress-related and somatoform disorders have been classified into the following types: Phobic anxiety disorders Other anxiety disorders Obsessive-compulsive disorders (Ref: a short textbook of psychiatry, Niraj Ahuja,7th edition, pg no 89)